All of the following imaging finding is diagnostic of Adenomyosis
1. Thickness of low signal intensity junctional zone >12mm on T2 -  weighted images.
2. Rain shower appearance of myometrium with coarsened echotexture.
3. Linear striations and subendometrial echogenic nodular appearance on USG.
4. Calcifications seen on CT - Scan.

Correct answer: 4. Calcifications seen on CT - Scan.

Explanation: CT - is insensitive for adenomyosis. Presence of calcifications strongly favours fibroids rather than adenomyosis.